Collecting part of kidney of derived from
1. Metanephros
2. Mesonephros
3. Ureteric bud
4. Wolffian duct

Correct answer: 3. Ureteric bud